Complications of Zidovudine therapy
1. Nausea and vomiting
2. Anemia
3. Steatosis
4. All of the above

Correct answer: 4. All of the above

Explanation: *anemia and neutripenia are the most important band dose related adverse effects of Zidovudine *nausea anorexia abdominal pain, headache, insomnia and myalgia are common at start of the therapy bit diminishes later Myoptahy lactic acidosis ,Hepatomegaly, with steatosis, convulsion and encephalopathy ate infrequent Refer KDT6/e p771